Which of the following has most penetrating power?
1. a particle
2. b particle
3. g - radiation
4. Electron beam

Correct answer: 3. g - radiation

Explanation: Penetration power maximum for gamma rays (1000 times of a rays). Minimum for alpha rays. Ref: Park's Preventive and Community Medicine, 16th Edition, Page 514 and 17th Edition, Page 521